In which one of the following type of hernia do the abdominal viscera from a part of the wall of hernial sac?
1. Pantaloon hernia
2. Sliding hernia
3. Richter's hernia
4. Indirect inguinal hernia

Correct answer: 2. Sliding hernia

Explanation: As a result of slipping of the posterior parietal peritoneum on the underlying retroperitioneal structures, the posterior wall of the sac in sliding hernia is not formed by peritoneum alone, but by the sigmoid colon and its mesentery on the left, the accident), is called magical thinking. This type of reasoning is typical of children in Piaget's preoperational stage (age 2-7 years).